Agent associated with carcinoma cervix -
1. Human Papilloma Virus
2. Trichomoniasis
3. Herpes virus
4. Calymmatobacterium granulomatis

Correct answer: 1. Human Papilloma Virus

Explanation: Ans. is 'a' i.e., Human Papilloma Virus o Human papillomavirus is most commonly associated with cancer of cervix.o Although herpes simplex virus 2 is also associated with ca cervix. But HPV is believed to have a causal association with cancer cervix.